In open angle glaucoma investigation least done is :
1. Indirect ophthalmoscopy
2. Tonometry
3. Direct ophthalmoscopy
4. Perimetry

Correct answer: 1. Indirect ophthalmoscopy

Explanation: Investigations to be done in open angle glaucoma are :
Slit lamp examination
Tonometry
Gonioscopy
Direct ophthalmoscopy
Perimetry